Gun powder in hand during gun-shot residue is collected using:-
1. Paraffin wax
2. Benzidine
3. Acid phosphatase
4. Sulfur

Correct answer: 1. Paraffin wax

Explanation: * Paraffin test aka dermal nitrate test is an absolete test, uses melted paraffin on the surface of hand. The wax is removed & its inner surface is treated with diphenylamine or diphenyl benzidine reagent. A blue color develops when residue is present.